Inferior angle of scapula lies at -
1. T6
2. T7
3. T3
4. T12

Correct answer: 2. T7

Explanation: Important landmarks of scapulai) Inferior angle overlaps seventh rib or seventh intercostal space and lies opposite to tip of T7 spinous process.ii) Superior angle lies opposite to tip of T2 spinous process.iii) Lateral angle corresponds to glenoid fossa.iv) Junction of medial (vertebral) border corresponds to tip of T3 spine.